Flooding is a treatment modality used in -
1. Phobia
2. Depression
3. Mania
4. Schizophrenia

Correct answer: 1. Phobia

Explanation: Ans. is 4a' i.e., Phobia o Treatment of phobia1) Behavior therapy : - The most studied and most effective treatment for phobia is behavior therapy. A variety of behavior therapies are used : -i) Systemic desensitization :- The most commonly used behavior therapy for phobias is systemic desensitization.ii) Exposure and response prevention : - 2nd most commonly used technique.iii) Relaxation techniques.iv) Flooding2) Drug therapy : - Drugs used for phobias are : -i) Antianxiety (Benzodiazepins especially Alprazolam; ii) Tricyclic antidepressants (Imipramine);iii) SSRIs (Fluoxetine); iv) MAO inhibitors; and v) fi-blockers. Amongst these antidepressants (SSRIsor TCA) are the drug of choice with BZDs 2nd choice.3) Psychotherapy : - Psychoanalysis and dynamically oriented psychotherapy (psychodynamic therapy).4) Other Therapeutic modalities : - Hypnosis, Supportive therapy, and family therapy.